Axonotmesis includes discontinuity in
1. Perineurium
2. Epineurium
3. Endoneurium
4. Axon

Correct answer: 4. Axon

Explanation: Axonotmesis is a disruption of nerve cell axon, with Wallerian degeneration occurring below and slightly proximal to the site of injury. If axons and their myelin sheath are damaged, but Schwann cells, the endoneurium, perineurium and epineurium remain intact, it is called axonotmesis.